All of the following statement about 'yaws' are true, except -
1. Caused by Treponema pertenue
2. Transmitted non venerally
3. Secondary yaws can involve bone
4. Late stages of yaws involve heart and nerves

Correct answer: 4. Late stages of yaws involve heart and nerves

Explanation: Late stages of yaws includes destructive lesions of the skin and bone. Reference; Park's Textbook of preventive and social medicine, 24th edition.Pg no. 359